False about sternocleidomastoid?
1. Arises from sternum and clavicle
2. Insees on mastoid process
3. Motor supply by spinal accessory nerve
4. Tilt the head on opposite side

Correct answer: 4. Tilt the head on opposite side

Explanation: Sternocleidomastoid tsternomastoidlOriginThe, sternal head The clavicular head InsertionIt is inserted :By a thick tendon into the lateral surface of mastoid process, from its tip to superior border.By a thin apponeurosis into the lateral half of the superior nuchal line of the occipital bone. Nerve supplyThe spinal accessory nerve provides the motor supply. It passes through the muscle.Branches from the ventral rami of C2 are proprioceptive.Blood supplyArterial supply-one branch each from superior thyroid artery and suprascapular artery and, two branches from the occipital artery supply the big muscle.Veins follow the arteries.Actions1. When one muscle contracts :a) It turns the chin to the opposite side.b) It can also tilt the head towards the shoulder of same side.2. When both muscles contract together :a) They draw the head forwards, as in eating and in lifting the head from a pillow.b) With the longus colli, they flex the neck against resistance.c) It also helps in forced inspiration.